A 26-year-old woman has an amenorrhea,followed by uterine bleeding, pelvic pain, and pelvic mass. Her obstetrician performed a thorough examination, and the patient was diagnosed as having an ectopic pregnancy. Which of the following organs is most likely to provide a normal site of fertilization?
1. Fundus of the uterus
2. Ampulla of the uterine tube
3. Fimbriae
4. Infundibulum of the uterine tube

Correct answer: 2. Ampulla of the uterine tube

Explanation: Fertilization occurs in the ampulla of the uterine tube, therefore it is also the most likely site of implantation of an ectopic gestation